Feature of neurogenic shock:
1. Tachycardia and hypotension
2. Tachycardia and hypertension
3. Bradycardia and hypertension
4. Bradycardia and hypotension

Correct answer: 4. Bradycardia and hypotension

Explanation: Ans. Bradycardia and hypotension